Charcot arthropathy most commonly seen in:
1. DM
2. Syringomyelia
3. Leprosy
4. Rheumatoid arthritis

Correct answer: 1. DM

Explanation: Ans. a. DMCharcot arthropathy is the destruction of bone and soft tissues at weight bearing joints.Diabetes is the most common etiology of Charcot arthropathy.It occurs most commonly in the lower extremity, at the foot and ankleIts most severe form can disruption of the bony architecture.